Portal hypertension is defined as hepatic venous pressure gradient more than:
1. 1 mm Hg
2. 5 mm Hg
3. 10 mm Hg
4. 20 mm Hg

Correct answer: 2. 5 mm Hg

Explanation: Portal hypertension is defined as the elevation of the hepatic venous pressure gradient (HVPG) to >5 mmHg. Portal hypertension is caused by a combination of two simultaneously occurring hemodynamic processes. Ref: Harrison's principle of internal medicine 17th edition, chapter 302.